Type II schizophrenia is characterised by all of the following features, EXCEPT:
1. Negative symptoms
2. Poor response to treatment
3. Disorganised behaviour
4. CT scan abnormal

Correct answer: 3. Disorganised behaviour

Explanation: Type II Schizophrenia is characterised by prominent negative symptoms, intellectual deterioration, enlarged cerebral ventricles and poor response to neuroleptics. Type I Schizophrenia is characterised by:Positive symptomsNormal brain structureAbsence of intellectual impairmentGood response to neurolepticsRef: Contemporary Issues in the Treatment of Schizophrenia edited by Christian L. Shriqui, M.D., page 113.